Which of the following is the commonest type of malignancy of ovary?
1. Serous type
2. Mucinous
3. Dermoid cyst
4. Granulosa cell tumor

Correct answer: 1. Serous type

Explanation: More than half of all epithelial ovarian cancers have serous histology. Microscopically, the cells may resemble fallopian tube epithelium in well-differentiated tumors or anaplastic cells with severe nuclear atypia in poorly differentiated tumors. During frozen section, psammoma bodies are essentially pathognomonic of an ovarian-type serous carcinoma. Ref: Hoffman B.L., Schorge J.O., Schaffer J.I., Halvorson L.M., Bradshaw K.D., Cunningham F.G., Calver L.E. (2012). Chapter 35. Epithelial Ovarian Cancer. In B.L. Hoffman, J.O. Schorge, J.I. Schaffer, L.M. Halvorson, K.D. Bradshaw, F.G. Cunningham, L.E. Calver (Eds), Williams Gynecology, 2e.